Reflux of urine into the pelvis and calyces with mild dilatation with minimal blunting of fornices indicates which grade of VUR ?
1. Grade II
2. Grade III
3. Grade IV
4. Grade I

Correct answer: 2. Grade III

Explanation: Grade I Grade II Grade III Grade IV Grade V